Which of the following is low flow Oxygen delivery device
1. Nasal cannula
2. Venti-mask
3. Bag & mask ventilation
4. Aerosol system

Correct answer: 1. Nasal cannula

Explanation: A nasal cannula is generally used wherever small amounts of supplemental oxygen is required, without rigid control of respiration, such as in oxygen therapy. Most cannulae can only provide oxygen at low flow rates--up to 5 litres per minute (L/min)--delivering an oxygen concentration of 28-44%. Rates above 5 L/min can result in discomfort to the patient.